About ICF, true is
1. 14 L
2. 20 % of body weight
3. 28 L
4. 33% of body weight

Correct answer: 3. 28 L

Explanation: Intracellular Fluid (28L)- 40% Body Weight- 67% TBW.